Spur sign is/are seen in:
1. Supracondylar fracture of humerus
2. Radial head fracture
3. Acetabulum fracture of pelvis
4. Talus fracture

Correct answer: 3. Acetabulum fracture of pelvis

Explanation: Ans. (c) Acetabulum fracture of pelvisSpur cells-They are irregularly distorted red cells containing several irregularly distributed thorn like projections.Cells with this morphologic abnormality are also called acanthocytes.They are seen in Splenectomised patients and patients with liver disease.